who is the famoous personality invoved in the history of psychosurgery
1. anna freud
2. egaz moniz
3. mary ainswoh
4. manfred bleuler

Correct answer: 2. egaz moniz

Explanation: * Jacobson=================lobotomy in chimpanzees * Almedia lima+ egaz moniz===PF leukotomy * Subcaudate tractotmy======OCD * Limbic leukotomy=========OCD and depression * Anterior capsulotomy Anterior cingulotomy Ref. kaplon and sadock, synopsis of psychiatry, 11 th edition, pg no. 1065